Blackening and tattooing of skin and clothing can be best demonstrated by:
1. Luminol spray
2. Infrared photography
3. Ultraviolet light
4. Magnifying lens

Correct answer: 2. Infrared photography

Explanation: B i.e. Infrared photography